Type 1 Sampling error is classified as-
1. Alpha error
2. Beta error
3. Gamma error
4. Delta error

Correct answer: 1. Alpha error

Explanation: Alpha error. In Type 1 error , Null hypothesis is true but rejected. Probability of Type 1 error is given by 'P' value. Alpha is fixed in advance: P value calculated can be less than , equal to or greater than alpha. Reference: Simple Biostatistics by Indeayan & Indrayan,1st edition,pg no:155-57 and Methods in Biostatistics by Mahajan,7 th edition,pg no:111-113.